Prions are -
1. Made up of bacterial and viral particles
2. Immunogenic
3. Infectious
4. RNA particles

Correct answer: 3. Infectious

Explanation: prions are infectios agents REF:ANATHANARAYANAN MICROBIOLOGY NINTH EDITION PAGE.557